Carcinoma of lip
1. occurs mostly in females
2. metastases easily
3. occurs mostly in the lower lip
4. is mostly basal cell type

Correct answer: 3. occurs mostly in the lower lip